A preformed toxin is important in food poisoning due to all EXCEPT -
1. Staphylococcus aureus
2. Clostridium botulinum
3. ETEC
4. B. cereus

Correct answer: 3. ETEC